The muscle that acts primarily as an evertor of ankle inserted into the medial cuneiform is which of the following?
1. Peroneus longus
2. Peroneus brevis
3. Tibialis anterior
4. Tibialis posterior

Correct answer: 1. Peroneus longus

Explanation: The peroneus longus and brevis act primarily as evertors, with the peroneus brevis being the stronger of the two. In the question, the evertor inserted to the medial cuneiform, which is peroneus longus. The peroneus brevis inserts on the base of the fifth metatarsal and the peroneus longus courses under the cuboid to insert on the base of the first metatarsal and medial cuneiform. The tibialis anterior is the dorsiflexor of foot at the ankle joint. It is the invertor of the foot at the midtarsal and subtalar joints.Tibialis posterior is the principal invertor of the foot.